Succinyl choline acts to block neuromuscular transmission by:
1. Inhibiting cholinesterase
2. Inhibiting the CNS
3. Depolarizing the motor end plate of skeletal muscle
4. Blocking the release of acetyl choline at the end plate

Correct answer: 3. Depolarizing the motor end plate of skeletal muscle